Lesion in the indirect pathway of Basal ganglia results in
1. Parkinson disease
2. Huntington disease
3. Both of the above
4. None of the above

Correct answer: 2. Huntington disease

Explanation: Indirect pathway of Basal ganglia results in decreased movement. Hence its lesion leads to increased movement seen in Huntington disease